Lipid with highest mobility is ?
1. HDL
2. LDL
3. VLDL
4. Chylomicrons

Correct answer: 1. HDL

Explanation: Ans. is `a' i.e., HDLHDL :- Has maximum electrophoretic mobility, has maximum density, has minimum lipid content, has maximum protein (apoprotein) content, are smallest in size, has maximum phospholipid, has minimum triglycerides.Chylomicrons :- Have no electrophoretic mobility, have minimum density, have maximum lipid content, have minimum protein content, are largest in size, have minimum phospholipids, have maximum triglycerides.